Cock up splint is used in -
1. Median nerve injury
2. Radial nerve injury
3. Ulnar nerve injury
4. Volkman's ischemic contracture

Correct answer: 2. Radial nerve injury

Explanation: Cock- up splint is used for RADIAL NERVE PALSY. Knuckle- bender splint for Ulnar nerve palsy. Aeroplane splint for Brachial plexus palsy. REF:Essential orthopaedics- Maheshwari - 9th edn- pg no 25.